The natural history of disease is best established by:
1. Randomized control trials
2. Clinical trials
3. Descriptive studies
4. Cohort studies

Correct answer: 4. Cohort studies

Explanation: The Natural history of disease is best established by cohort studies. COHORT STUDY: Forward looking study Prospective study Cause to effect study Risk factor to disease study Exposure to outcome study Follow-up study Incidence study